Ulnar nerve supplies all except-
1. Adductor pollicis
2. Abductor digiti minimi
3. Interossei
4. 1st & 2nd lumbricals

Correct answer: 4. 1st & 2nd lumbricals

Explanation: Ans. is 'd' i.e., 1st & 2nd lumbricals Nerve supply of intrinsic muscles of HandThenar muscleso Abductor pollicis brevis. Flexor pollicis brevis, opponens pollicis - Median nerveo Adductor pollicis - Deep branch of ulnar nerveHypothenar muscleso Abductor digiti minimi, Flexor digiti minimi, opponens digiti minimi - Deep branch of ulner nerveo Palmaris brevis - Superficial branch of ulnar nerveInterosseio Palmar interossei - Deep branch of ulnar nerveo Dorsal interossei - Superficial branch of ulnar nerveLumbricalso 1st & 2nd (lateral two) lumbricals - Median nerveo 3rd & 4th (medial two) lumbricals - Deep branch of ulnar nerve